All of the following antibiotics act by interfering with cell wall formation EXCEPT:
1. Ceftriaxone
2. Vancomycin
3. Cycloserine
4. Clindamycin

Correct answer: 4. Clindamycin

Explanation: * Clindamycin acts by inhibiting the protein synthesis. * Drugs inhibiting cell wall synthesis are: - Fosfomycin - Beta lactams o Penicillins (e..g amoxicillin) o Cephalosporins (e.g. ceftriaxone) o Carbapenems (e.g. imipenem) o Monobactams (e.g. aztreonam) - Bacitracin - Cycloserine - Glycopeptides (like vancomycin)